A patient with recent onset primary generalized epilepsy, develops drug reaction and skin rash and neutropenia due to phenytoin sodium. The most appropriate course of action is:
1. Shift to sodium valproate
2. Shift to clonazepam
3. Shift to ethosuximide
4. Restart phenytoin after 2 weeks

Correct answer: 1. Shift to sodium valproate

Explanation: (Ref: Katzung, 14th ed. pg. 418-19; KDT 6th ed. pg. 405)Hypersensitivity reactions like rashes, DLE, lymphadenopathy and neutropenia require that phenytoin to be stopped.